True about local anaesthetic – a) Cocaine acts by decreasing norepinephrineb) Act by decreasing sodium entry into cellc) Lignocaine is an amided) Dibucaine is drug of choice for epidural anaesthesia
1. a
2. c
3. ac
4. bc

Correct answer: 4. bc

Explanation: Local anesthetics prevent influx of Na+ by inhibiting Na+ channel.
Lignocaine (Lidocaine) is an amide.
Dibucaine is not used for epidural anesthesia. Lidocaine and bupivacaine are the most commonly used local anesthetics for spinal and epidural anesthesia.